True about pugilistic attitude?
1. Indicate only antimortem burn
2. Indicate only postmortem burn
3. Cannot differentiate between antemortem & postmortem burn
4. Indicate defense by victim during antemortem death

Correct answer: 3. Cannot differentiate between antemortem & postmortem burn

Explanation: Puglistic attitude : It is due to coagulation of the proteins of the muscles and dehydration which cause contraction. The flexor muscles being bulkier than extensor, contracts more due to which joints of all limbs are flexed. It occurs whether the person was alive or dead at the time of burning. So it is non specific ,hence Cannot differentiate between antemortem & postmortem burn